Reversible dementia causes are all except-
1. Myxedema
2. Subdural hematoma
3. Vitamin B12 deficiency
4. Lewy body dementia

Correct answer: 4. Lewy body dementia

Explanation: Ans, is 'd' i.e., Lewy body dementia Causes of dementiaReversible causes Surgically treatableo Normal pressure hydrocephaluso Brain tumors (frontal lobe tumor)o Meningiomao Subdural hematoma (Head injury)o HydrocephalusMedically treatable o Hypothyroidismo Depressiono HIV infectiono Alcohol abuseo Vitamin B12 , Folate. Niacin deficiencyo Any metabolic or endocrine disturbanceo Neurosyphiliso Hashimoto's encephalopathyo Wilson's diseaseo Celiac disease or Whipple's diseaseo Chronic meningoencephalitiso Drugs and toxin (toxic dementia)Irreversible causeso Alzheimer s diseaseo Vascular (Multi-infarct) dementiao Parkinson's diseaseo Huntington's choreao Creutzfeld Jakob diseaseo Lewy body dementiao Pick's diseaseo Overall Alzheimer's disease is the most common cause. Vascular dementia is the 2nd most common cause.